Has its release inhibited by thyroxine.
1. LH
2. PRL
3. TSH
4. GH

Correct answer: 3. TSH

Explanation: Thyroxine (the end product) inhibits the release of TSH by the anterior pituitary. Thyroxine has no effect on the release of LH, PRL, GH, or FSH.